A patient develops hypoglycemia. He was on insulin and acarbose. For treatment of above what is to be given?
1. Glucose
2. Maltose
3. Sucrose
4. Starch

Correct answer: 1. Glucose

Explanation: Ans. a. Glucose Hypoglycemic reactions are the most common complication of insulin therapy. All the manifestations of hypoglycemia are relieved by glucose administration. Since the patient is on acarbose, the absorption of complex polysaccharides would be delayed. For this reason, simple sugars like glucose should be administered."Hypoglycemic reactions are the most common complication of insulin therapy. It commonly result from inadequate carbohydrate consumption, unusual physical exertion and targe dose of insulin."Management of Hypoglycemia* All the manifestations of hypoglycemia are relieved by glucose administration* To increase absorption, simple sugar or glucose should be given preferably in liquid form.Management of Hypoglycemia Depends upon the Condition of the PatientMild to Moderate(Patient is conscious, able to swallow)Severe(Patient is unconscious, not able to swallow)* Glucose gel* Dextrose tablets* Any sugar containing beverage* 20-50 ml of 50% glucose solution by IV infusion over a period of 2-3 minutes* If IV therapy is not available, 1 mg of glucagon injected either subcutaneously or IM* If glucagon unavailable, honey syrups* Oral feeding contraindicated